Paessure difference of 5 mm Hg between the two up per limbs occurs in which congenital heart disease
1. TOF
2. TGA
3. HOCM
4. Supra-valvular aortic stenosis

Correct answer: 4. Supra-valvular aortic stenosis